Pulsating varicose vein in a young adult is due to-
1. Arteriovenous fistula
2. Sapheno femoral incompetence
3. Deep vein thrombosis
4. Abdominal tumour

Correct answer: 1. Arteriovenous fistula